Which anaesthetic drug contributes to green house effect?
1. Enflurane
2. Desflurane
3. Sevoflurane
4. Halothane

Correct answer: 2. Desflurane

Explanation: Ans. is 'b' i.e., Desflurane